False about the precipitate formed as a result of reaction of chlorhexidine and NaOCl
1. Interferes with seal of obturation
2. Causes cyanosis
3. To prevent rinse canal with absolute alchohol
4. NaOCl is always used as final rinse

Correct answer: 4. NaOCl is always used as final rinse